Frey's syndrome is due to the involvement of-
1. Auriculotemporal nerve
2. Glossopharyngeal nerve
3. Vagus nerve
4. All

Correct answer: 1. Auriculotemporal nerve